Vidian nerve is-
1. Mandibular nerve
2. Deep petrosal nerve
3. Nerve of pterygoid canal
4. Lesser petrosal nerve

Correct answer: 3. Nerve of pterygoid canal

Explanation: Ans. is 'c' i.e., Nerve of pterygoid canal * Greater petrosal nerve joins the deep petrosal nerve to form vidian nerve (nerve to pterygoid canal) and carries secretomotor fibres to the lacrimal gland, nasal gland, Palate gland and pharyngeal gland after relaying in pterygopalatine ganglion.